Hormone replacement therapy is helpful in all of the following conditions EXCEPT:
1. Vaginal atrophy
2. Flushing
3. Coronary heart disease
4. Osteoporosis

Correct answer: 3. Coronary heart disease